Emergence delirium is characteristic of:
1. Midazolam
2. Ketamine
3. Thiopentone
4. Opioids

Correct answer: 2. Ketamine